One of the following is not true of International classification of Disease
1. It is revised once in 10 years
2. It was devised by UNICEF
3. The 10th revision consists of 21 major chapters
4. It is accepted for National and International use

Correct answer: 2. It was devised by UNICEF

Explanation: ICD-10 is the 10th revision of the International Statistical Classification of Diseases and Related Health Problems (ICD) Medical classification list by the World Health Organization (WHO); Revised every 10years Consists of 21chapters The ICD-10 consists of: Tabular lists containing cause-of-death titles and codes (Volume 1) Inclusion and exclusion terms for cause-of-death titles (Volume 1) Description, guidelines, and coding rules (Volume 2) and An alphabetical index to diseases and nature of injury, external causes of injury, table of drugs and chemicals (Volume 3) Ref : Park's textbook of preventive and social medicine; 23rd edition